Ciliary movement rate of nasal mucosa is:
1. 1-2 mm/min
2. 2-5 mm/min
3. 5-10 mm/min
4. 10-12 mm/min

Correct answer: 3. 5-10 mm/min

Explanation: Nasal mucosa contains goblet cells responsible for secretion of mucosa. The cilia of nasal mucosa beat constantly at speed of 5-10 mm/minute and are in contact with serous layer of mucus which entraps the foreign bodies, allergens and carry it to nasopharynx. Beat frequency = 10 Hz Movement is metachronus (i.e. all cilia at right angle to the direction of flow are in the direction of flow while those in the direction of flow are slightly out of phase). Mucociliary clearance time = 5-20 mins. The pH of mucous blanket of nose is 7.